Bartholin gland situated in ?
1. Superficial perineal pouch
2. Deep perineal pouch
3. Inguinal canal
4. Ischiorecal fossa

Correct answer: 1. Superficial perineal pouch

Explanation: Superficial perineal pouch